In a factory, sickness absenteeism predicts:
1. Relationship between employee and employer
2. Working environment
3. Managerial control
4. State of health of workers

Correct answer: 4. State of health of workers

Explanation: Ans. D: State of health of workers Sickness absence is an important health problem in industry. Absenteeism is a useful index in industry to assess the state of health of workers, and their physical, mental and social well-being.